The sexual development is considered is precocious if there is breast and public hair growth before the age of :
1. 8 years
2. 9 years
3. 10 years
4. 11 years

Correct answer: 1. 8 years

Explanation: 8 years